A 50-year-old male who has a long history of excessive drinking presents with signs of alcoholic hepatitis. Microscopic examination of a biopsy of this patient's liver is given below.These inclusions are composed of
1. Immunoglobulin
2. Excess plasma proteins
3. Basement membrane material
4. Prekeratin intermediate filaments

Correct answer: 4. Prekeratin intermediate filaments

Explanation: Microscopic examination of a biopsy of this patient's liver reveals irregular eosinophilic hyaline inclusions within the cytoplasm of the hepatocytes. Alcoholic hyaline inclusions (Mallory bodies) are irregular eosinophilic hyaline inclusions that are found within the cytoplasm of hepatocytes. Mallory bodies are composed of prekeratin intermediate filaments. They are a nonspecific finding and can be found in patients with several diseases other than alcoholic hepatitis, such as Wilson's disease, and in patients who have undergone bypass operations for morbid obesity Immunoglobulins may form intracytoplasmic or extracellular oval hyaline bodies called Russell bodies. Excess plasma proteins may form hyaline droplets in proximal renal tubular epithelial cells or hyaline membranes in the alveoli of the lungs (hyaline membrane disease). The hyalin found in the walls of arterioles of kidneys in patients with benign nephrosclerosis is composed of basement membranes and precipitated plasma proteins. Reference: Robbins & Cotran Pathologic Basis of Disease, 9edition.